A 26-year-old African-American woman has bilateral hilar adenopathy, and radiography reveals multiple reticular densities in both lung fields. A bronchoscopic biopsy reveals granulomatous inflammation with multiple giant cells but no evidence of caseous necrosis. Which of the following is the most likely diagnosis?
1. Aspergillosis
2. Tuberculosis
3. Histoplasmosis
4. Sarcoidosis

Correct answer: 4. Sarcoidosis

Explanation: The histologic hallmark of sarcoidosis is the finding of non-caseating granulomatous inflammation.Although this finding is not entirely specific. A non-necrotizing granulomatous response of the lung is rarely seen in patients with tuberculosis or deep-seated fungal infections. These infections usually have a necrotizing component.